Wucheria bancrofti, true is -
1. Unsheathed
2. Tail tip free from nuclei
3. Non-periodic
4. All

Correct answer: 2. Tail tip free from nuclei

Explanation: The somatic cells or nuclei appear as granules in the cental axis of the embryo and extend from the head to the tail end The granules do not extend into the tail end which is a distinguishing feature of Microfilaria bancrofti (refer pgno:165 baveja 3 rd edition)